Congenital anomalies are most severe in:
1. Rubella infection
2. Mumps
3. CMV
4. Toxoplasma

Correct answer: 1. Rubella infection

Explanation: Ans. is a, i.e. Rubella infectionRef. Williams Obs. 23/e, p 1214"Rubella is one of the most teratogenic agents known." Ref. Williams Obs. 23/e, p 1214Rubella causes a number of serious defects in fetus. These defects may occur singly or in combination called Congenital rubella syndrome.